In addition to the effects of weight loss, the resolution of type 2 diabetes mellitus after the gastric sleeve procedure and RYGB is thought to be contributed to by ?
1. Reduced ghrelin production
2. Increased secretion of glucagon-like peptide-1 (GLP-1)
3. Appetite suppression
4. All of the above

Correct answer: 4. All of the above

Explanation: Gastrectomy removes much of the Ghrelin-producing portion of the stomach, leading to weight loss after both gastric sleeve and RYGB procedures. GLP-1, is dramatically increased after RYGB, and after gastric sleeve